Erythema infectiosum is seen in -
1. Rubella
2. Fifth disease
3. Scarlet fever
4. Diphtheria

Correct answer: 2. Fifth disease

Explanation: Ans. is 'b' Fifth disease Erythema infectiosum also known as fifth disease is caused by Parvo Virus (B-19)*.About Erythema infectiosum *Most common clinical manifestation of human parvovirus infection.Characteristics skin lesions appear in 3 stages:1st phase - Cheeks are erythematous giving appearance of slapped cheeks*.2nd phase - Itching erythematous maculopapular rash on extensor surface (Palms and soles spread)*.3rd phase - Rash begins to fade and disappears in about 2 weeks*.